Mydriatic with no cycloplegic effect is seen with
1. Atropine
2. Phenylephrine
3. Tropicamide
4. Homatropine

Correct answer: 2. Phenylephrine

Explanation: Mydriasis with no loss of accommodation(cycloplegia) is seen with phenylephrine which is alpha agonist Ref: Katzung 11th ed pg 117